Pisiform articulates with -
1. Scaphoid
2. Trapezium
3. Triquetral
4. Lunate

Correct answer: 3. Triquetral

Explanation: Triquetral